Froment signs is positive in injury of which nerve?
1. Median
2. Ulnar
3. Radial
4. None of the above

Correct answer: 2. Ulnar

Explanation: Ans. is 'b' i.e.,Ulnar